Which of the following statements is true about COVID-19 :
1. COVID-19 is a type of influenza virus.
2. Those who take flu vaccine are immune to it.
3. It is a new strain which originated in Wuhan, China.
4. All cases are symptomatic.

Correct answer: 3. It is a new strain which originated in Wuhan, China.

Explanation: True about COVID 19 is that it is a new strain which originated in Wuhan, China. Coronaviruses (CoV) are a large family of viruses that cause illness ranging from the common cold to more severe diseases such as MERS, SARS. COVID-19 is a new strain that has not been previously identified in humans. Common signs of infection include respiratory symptoms, fever, cough, shortness of breath and breathing difficulties. In more severe cases, infection can cause pneumonia, severe acute respiratory syndrome, kidney failure and even death. Cases maybe asymptomatic. The incubation period: 2-14 days, therefore quarantine is for 14 days. Hand hygiene, cough etiquette, maintaining distance from sick people could be helpful in prevention. Flu vaccine has the circulating strains of influenza A and B. It does not offer protection against corona virus.